DOC in P. jeroveci
1. Clotrimazole
2. Cotrimoxazole
3. Penicillin
4. none

Correct answer: 2. Cotrimoxazole

Explanation: Drug of choice for Pneumocystis jirovecii pneumonia is co-trimoxazole,with adjunctive doses of steroid if the patient has hypoxia.Pneumocystis jirovecii pneumonia is common in immunocompromised individuals,like HIV positive patients.In P.jirovecii pneumonia,symptoms of cough and breathlessness can be present for several days or weeks before the onset of systemic symptoms or the appearance of X ray abnormalities.HRCT showing bilateral opacification is diagnostic. Reference:Davidson's Medicine-22nd edition,page no:400,688